Village health Nutrition day is observed
1. Every day
2. Every week
3. Every month
4. Every 6 monthly

Correct answer: 3. Every month